Not a branch of external carotid artery:-
1. Superior thyroid
2. Ophthalmic
3. Lingual
4. Ascending pharyngeal

Correct answer: 2. Ophthalmic

Explanation: Branch of ECA: - Superior thyroid artery Lingual artery Facial artery Anteriorly Ascending pharyngeal artery medially Occipital artery Posteriorly Posterior auricular artery Superficial temporal artery Maxillary artery Terminal artery Branches of ICA Ophthalmic artery Anterior choroidal artery Anterior cerebral Middle cerebral Posterior communication artery.